A girl, otherwise healthy, sleeping on the floor suddenly develops nausea, vomiting, abdominal pain, quadriplegia at night. Diagnosis is:
1. Guillain Barre syndrome
2. Poliomyelitis
3. Krait bite
4. Periodic paralysis

Correct answer: 3. Krait bite

Explanation: Ans. Krait bite